Most common tumor of head which undergoes calcification is
1. Ependymoma
2. Medulloblastoma
3. Oligodendroglioma
4. Glioblastoma muliformae

Correct answer: 3. Oligodendroglioma

Explanation: The morphology of Oligodendrogliomas can be described as : well circumscribed, gelatinous,gray masses, often with cysts , focal hemorrhage and calcification. Calcifiction, present in as 90% of these tumors , ranges from microscopic foci to massive depositons. Ref: Robbins and cotrans 9e Pg: 1310 Img ref: